Karyotyping is done with all, except:
1. Blood lymphocyte
2. Blood monocyte
3. Amnion
4. Fibroblast

Correct answer: 2. Blood monocyte

Explanation: Ans. (b) Blood monocyte(Ref: R 9th/pg 158; 8th/pg 159)To produce a karyotype, cells capable of growth and division is used, as karyotyping is done by arresting mitosis in dividing cells in metaphase.None of the leukocytes in blood normally divide, but lymphocytes can readily be induced to proliferate, providing a very accessible source of metaphase cells; but monocytes cannot be used.